Basophilic stippling is seen in:
1. Cadmium poisoning
2. Lead poisoning
3. Chromium poisoning
4. Iron poisoning

Correct answer: 2. Lead poisoning

Explanation: (Lead poisoning): Ref: 433-R (284- Basic pathology 8th)LEAD: Inhalation is the most important route of occupational exposure* Lead interferes with heme biosynthesis, it causes microcytic hypochromic anemia, punctate basophilic stippling of erythrocytes is characteristic.Toxic and carcinogenic metalsMetalDiseaseOccupationLeadRenal toxicity, Anemia colic, peripheral neuropathy, Insomnia, fatigue, cognitive deficitsBattery and ammunition workers, foundry workers, spray paining, radiator repairMercuryRenal toxicity, Muscle tremor dementia, cerebral palsy intellectual disabilityChlorine-alkali industryArsenicCancer of skin, lung, liverMiners, smelters, oil refinery workers, farm workersBerylliumAcute long irritant, chronic lung hypersensitivity & lung cancerBeryllium, reelining, aerospace manufacturing, ceramicsCobalt and tungsten carbideLung fibrosis AsthamaTool makers, grinders, diamond polishersCadmiumRenal toxicity ? Prostate cancerBattery workers, smelters, welders, solderingChromiumCancer of long and nasal cavityPigment workers, smelters, steel workersNickelCancer of lung and nasal sinusesSmelters, steel workers electroplating